Development of breast is related with:
1. GC scale
2. Tanner scale
3. Ranson criteria
4. MESS score

Correct answer: 2. Tanner scale

Explanation: Ans. B i.e. Tanner scale